Antiarrhythmic drugs causing torsades de pointes are:
1. Quinidine
2. Disopyramide
3. Procainamide
4. All of these

Correct answer: 4. All of these